Contraction stress test is used to detect :
1. Fetal hypoxia
2. Placenta previa
3. Hydramnios
4. Cord prolapse

Correct answer: 1. Fetal hypoxia

Explanation: Fetal hypoxia